The color of granules in mycetoma caused by Actinomadura pelletieri -
1. Black
2. Yellow
3. Red
4. Brown

Correct answer: 3. Red